The diagnosis of a patient presenting with Seizures, Intellectual disability and Sebaceous adenoma is:
1. Hypothyroidism
2. Tuberous sclerosis
3. Toxoplasmosis
4. Down syndrome

Correct answer: 2. Tuberous sclerosis

Explanation: Answer is B (Tuberous Sclerosis): Neurological features of seizures and intellectual disability together with cutaneous manifestations in the form of sebaceous adenomas are characteristic of the neurocutaneous syndrome of Tuberous sclerosis.